Investigation of choice for interstitial disease is -
1. Chest X-ray
2. HRCT
3. Gallium-67 DTPA scan
4. MRI

Correct answer: 2. HRCT

Explanation: High Resolution CT (HRCT) is investigation of choice for interstitial lung disease and bronchiectasis as it can delineate the lung parenchyma upto the level of secondary pulmonary lobule.